A 5-day-old term male neonate presents with delayed passage of meconium, abdominal distension and bilious vomiting. Barium enema and intestinal biopsy findings are shown below. What is the diagnosis?
1. Congenital aganglionic megacolon
2. Hypertrophic pyloric stenosis
3. Cystic fibrosis
4. Intestinal malrotation

Correct answer: 1. Congenital aganglionic megacolon

Explanation: a. Congenital aganglionic megacolonBa enema shows narrow distal segment with dilated proximal segment of intestineIntestinal biopsy shows hypertrophied nerve bundles between muscular layer & submucosa